A 48-year-old female patient presented to the OPD with complaints of dysphagia which is usually intermittent and is limited only to the solids for 2 months along with weakness, fatigue, and dyspnea. On examination, Angular cheilitis Glossitis Koilonychia Pallor Lab findings revealed iron deficiency anemia. Barium swallow was performed. Upper GI endoscopy Which of the following is the most likely diagnosis: -
1. Plummer-Vinson syndrome
2. Pill-induced Stricture
3. Heterotopic gastric mucosa with stricture
4. Achlasia cardia

Correct answer: 1. Plummer-Vinson syndrome

Explanation: This is a case of Plummer Vinson syndrome. Barium swallow is suggestive of a post cricoid web. Upper GI endoscopy also shows an upper esophageal web. The association of post cricoid dysphagia, upper esophageal webs, and iron deficiency anemia is known as Plummer-Vinson syndrome.